Rett's disease is caused by abnormality in __________
1. ATRY
2. HLADRB1
3. MECP2
4. PTEN

Correct answer: 3. MECP2

Explanation: 3 'M's of Rett's disease :

Mahila (F>M).
Microcephaly.
MECP2.